The position of mucogingival line
1. Shifts apically with age
2. Shifts coronally with age
3. Constant throughout the life
4. None of the above

Correct answer: 3. Constant throughout the life